The only non-catecholamine sympathomimetic drug out of the following is:
1. Adrenaline
2. Ephedrine
3. Dopamine
4. Isoprenaline

Correct answer: 2. Ephedrine

Explanation: Sympathomimetic drug Catecholamines Non catecholamines Endogenous * Adrenaline * Nor adrenaline * Dopamine Exogenous * Dobutamine * Fenoldopam * Isoprenaline Rest all More information:Indirectly acting sympathomimetic drugs are:1. Reuptake inhibitors: Cocaine, TCA.2. Displacement of catecholamines from vesicles:* Tyramine- shows tachyphylaxis.* Ephedrine* Pseudoephedrine